Venous return to heart during quiet standing is facilitated by all of the following factors, except
1. Calfmuscle contraction during standing
2. Valves in perforators
3. Sleeve of deep fascia
4. Gravitational ihcrease in arterial pressure

Correct answer: 4. Gravitational ihcrease in arterial pressure

Explanation: During quiet standing gravity act against venous return to the heartGravity induces peripheral pooling of blood in leg instead.Calf muscle contraction pushes the blood towards heartvalves prevents backflowRef: Medical Physiology Indu Khurana 2015 edition pAge No:220